Which of the following is not true regarding glomus tumor
1. Benign tumor of glomus body
2. Most common site is distal phalanges
3. Usually asymptomatic produces pain if undergoes malignant change
4. It is a tumor of modified smooth muscle cells

Correct answer: 3. Usually asymptomatic produces pain if undergoes malignant change

Explanation: Glomus tumor is very painful tumor.